Which of the following statements is NOT TRUE about Tacrolimus?
1. It is a macrolide antibiotic
2. It is indicated for the prophylaxis of organ transplant rejection
3. Glucose intolerance is a well recognized side effect
4. It can be safely administered with any nephrotoxic drug

Correct answer: 4. It can be safely administered with any nephrotoxic drug

Explanation: Ans. (D) It can be safely administered with any nephrotoxic drug(Ref: KDT 8/e p940, 947)Tacrolimus is a nephrotoxic agent. Like cyclosporine, it should be administered cautiously in patients receiving other nephrotoxic drugs.In its structure, tacrolimus contains a large macrocyclic ring. It is therefore macrolide in natureIt is an immunosuppressant agent and is used to prevent the rejection of transplanted organ.Nephrotoxicity, hyperglycemia and neurotoxicity are well recognized adverse effects of this drug.